Thromboembolism is due to which component of oral contraceptive pills:
1. Progesterone
2. Estrogen
3. Iron
4. FSH

Correct answer: 2. Estrogen